What is the biochemical defect in the Zellweger syndrome?
1. Peroxisomal biogenesis disorder
2. Lysosomal targeting disorder
3. Defect in glycosylation of proteins
4. Trisomy 21

Correct answer: 1. Peroxisomal biogenesis disorder

Explanation: Ans. A. Peroxisomal biogenesis disorderBiochemical defect in Zellweger SyndromeThere is gene defects, involving mainly the import of proteins that contain the PTS1 targeting signal* Zellweger syndrome (most severe)Clinical picture* Typical facial appearance (high forehead, unslanting palpebral fissures, hypoplastic supraorbital ridges, and epicanthal folds)* Severe weakness and hypotonia, neonatal seizures* Eye abnormalities (cataracts, glaucoma, corneal clouding, Brushfield spots, pigmentary retinopathy, and nerve dysplasia)* Because of the hypotonia and "mongoloid" appearance, Down syndrome may be suspected